Yolk muscle pair is:
1. Rt MR and Rt LR
2. Rt MR and Lt LR
3. Rt SO and Lt TO
4. Rt SR and Lt SR

Correct answer: 2. Rt MR and Lt LR

Explanation: Ans. Rt MR and Lt LR